Pavlov's experiment is an example of which of the following learning theory?
1. Modeling
2. Classical conditioning
3. Operant conditioning
4. Learned helplessness

Correct answer: 2. Classical conditioning

Explanation: Pavlov's experiment is an example of Classical conditioning. Classical conditioning is a process of learning, by which a previously neutral stimulus elicit an identical or similar response to one originally elicited by another stimulus as a result of pairing of the two stimuli. Ref: Kaplan & Sadock's Comprehensive Textbook of Psychiatry, 9th edition, page 647. Beginning Psychology By Malcolm Hardy, 5th edition page 54 ; Universal Principles of Design By William Lidwell, page 174 ; Psychology: Concepts and Applications By Jeffrey S. Nevid, 3rd edition page 176.